Vit. B12 is absorbed in the
1. Stomach
2. Duodenum
3. Lower jejunum
4. Terminal ileum

Correct answer: 4. Terminal ileum

Explanation: One molecule of IF can combine with 2 molecules of B12. This IF-B12 complex is attached with specific receptors on mucosal cells. The whole IF-B12 complex is internalized . It may be noted that B12 is absorbed from the ileum. Ref: DM Vasudevan, page no: 404